To prevent keratoconus what is used –
1. Antibiotics
2. Cycloplegics
3. Glasses
4. None

Correct answer: 4. None

Explanation: There are no preventive measures for keratoconus.
Some specialists believe that patient with keratoconus should have their eye allergies aggressively treated and should be instructed not to rub their eyes